Which of the following is not involved in Wernicke's Korsakoff psychosis-
1. Mamillary body
2. Thalamus
3. Periventricular Grey matter
4. Hippocampus

Correct answer: 4. Hippocampus

Explanation: Ans. is 'd' i.e., Hippocampus o Hippocampus is not involved in Wernicke 's korsakoff syndromeo The areas commonly affected include the:-# Medial dorsal thalamic nucleus# Mammillary bodies# Periaqueductal grey matter# Floor of the fourth ventricle which include the occular motor and vestibular nuclei.o The lesions of wernicke's encephalopathy occur in a characteristic symmetrical distribution in structures surrounding the third ventricle, aqueduct and the fourth ventricle.# Mamillary bodies are involved in virtually all cases and the dorsomedial thalamus, locus ceruleus, periaqueductal gray, occular motor nuclei and vestibular nuclei are commonly affected.